Best anaesthetic drug to be given in day care surgery:
1. Ketamine
2. Sevoflurane
3. Desflurane
4. Propofol

Correct answer: 4. Propofol

Explanation: Ans. (d) PropofolRef: KDT 6th ed./373-374PROPOFOL* Anesthesia of choice for day care surgery.* Short acting, action diminishes the same day.* Advantage: has anti emetic property. It is safe in porphyria.* Disadv: Causes myocardial depression and hypotension.